Not seen in children -
1. Neuroblastoma
2. Retinoblastoma
3. Hepatoblastoma
4. Seminoma

Correct answer: 4. Seminoma

Explanation: Ans. is 'd' i.e.. Seminoma Seminomao Seminomas are the most common type of germ cell tumor of testes, making up about 50% of these tumors,o The peak incidence is the third decade and they almost never occur in infants.o An identical tumor arises in the ovary, where it is called dysgerminoma. Seminomas contain isochromosome 12p and express OCT3/4 and NANOGo Approximately 25% of these tumors have KIT activating mutations.,KIT amplification and KIT overexpression.